All of the conditions are associated with septal perforation, EXCEPT:
1. Septal abscess
2. Leprosy
3. Rhinophyma
4. Trauma

Correct answer: 3. Rhinophyma

Explanation: Phymatous or Rhinophymatous rosacea is characterized by hyperplasia of the sebaceous glands which form thickened confluent plaques on the nose known as rhinophyma. Nasal disfiguration is seen in this condition, not nasal perforation. Causes of nasal perforation: Traumatic perforations Pathological perforations caused by, Septal abscess Nasal myiasis Rhinolith or neglected foreign body causing pressure necrosis Chronic granulomatous conditions like lupus, tuberculosis and leprosy Wegener's granulomatosis Drugs and chemicals Prolonged use of steroid sprays Cocaine addicts Occupational (e.g., chromium plating, dichromate or soda ash manufacturing) Idiopathic